Valve of heister is seen in -
1. Cystic duct
2. Common bile duct
3. Common hepatic duct
4. Pancreatic duct

Correct answer: 1. Cystic duct

Explanation: Ans. is 'a'- i.e., Cystic duct o The mucous membrane of the cystic duct forms a series of 5-12 crescentic folds, arranged spirally to form the so called spiral valve of Heister. This is not a true valve.o This question is a direct repeat from NBE based AI-2013